Xenograft is:
1. Graft across species
2. Graft from same species
3. Graft from same individual
4. Graft from same organ

Correct answer: 1. Graft across species

Explanation: Ref: CMDT 2018, P 157* Autologous graft (autograft): Within an individual, auto transplantation* Syngeneic graft (syngraft, isograft): Identical twins, isotransplantation* Allogeneic graft (allograft, homograft): Non-identical, allotransplantation* Xenogeneic graft (heterologous graft, heterograft): Between species, xenotransplantation